The first lipoprotein to increase in concentration in the blood after ingestion of 400 g of jellybeans (carbohydrate) is
1. Chylomicrons
2. VLDL
3. LDL
4. HDL

Correct answer: 2. VLDL

Explanation: VLDL is synthesized in the liver, particularly after a high carbohydrate meal. It is formed from triacylglycerols that are packaged with cholesterol, apolipoproteins (particularly, apoB-100), and phospholipids, and it is released into the blood, where it acquires apoC-II and apo E.VLDL is synthesized by the liver from dietary sugar (present in jelly-beans). LDL is the cholesterol-rich particle in the blood. Cells take up LDL by LDL binding to the LDL receptor, and the LDL-LDL receptor complex enters the cell via endocytosis. Once inside the cell, the cholesterol is released from cholesterol esters by a lysosomal enzyme and enters the cytoplasm of the cell for further processing. Chylomicrons are produced from dietary lipids and cholesterol in the intestinal epithelial cells. HDL is involved in reverse cholesterol transport, which requires the LCAT reaction. Fatty acids, because they are so hydrophobic, cannot travel freely in the blood and need to be bound to albumin for transport through the circulatory system.